Band-shaped keratopathy seen in?
1. JRA
2. RA
3. SLE
4. DLE

Correct answer: 1. JRA

Explanation: JRA may be associated with Band keratopathy.